All of the following are seen in Neurofibromtosis, Except
1. Lisch nodules
2. Axillary Freckling
3. Shagreen Patch
4. Caffe-au-lait spots

Correct answer: 3. Shagreen Patch

Explanation: Answer is C (Shgreen Patch): Shagreen Patch is seen in Tuberous Sclerosis and not in Neurofibromatosis Lisch Nodules, Axillary Freckling and Caffe-au-lait spots are seen in Neurofibromotosis Shagreen Patch are seen in Tuberous Sclerosis Shagreen Spotsdeg are roughened, raised, leathery lesions with an orange peel consistency seen as cutaneous manifestations of Tuberous sclerosis